Features of secondary syphilis are/is  a) Condyloma accuminata  b) Condyloma lata  c) Mulberry/moon molar  d) Lesions over palms/sales
1. ac
2. bd
3. bc
4. ad

Correct answer: 2. bd